A man was diagnosed to have myositis ossificans progressiva at the age of 20 years. He died five years later. What is the most probable cause of his death-
1. Starvation and chest infection
2. Myocarditis
3. Hypercalcemia
4. Hyperphosphatemia

Correct answer: 1. Starvation and chest infection

Explanation: Ans is option 1.. Starvation and chest infection. Myositis ossificans progressiva It is a congenital condition characterized by the formation of masses of bone in the soft tissues with consequent progressive impairment of movement of the underlying joint or joints All joint motion is finally lost and the patient dies of intercurrent infection. No effective treatment is known Ref Harrison 17/e p2416